All the drugs given below can be used to protect gastric ulcer except
1. Colloidal bismuth salt
2. Magnesium hydroxide
3. Misoprostal
4. Sucralfate

Correct answer: 2. Magnesium hydroxide